The requirement of potassium in a child is ___________
1. 1-2 mEq/kg
2. 4-7 mEq/kg
3. 10-12 mWq/kg
4. 13-14 mEq/kg

Correct answer: 1. 1-2 mEq/kg

Explanation: Potassium requirement in child is about 1 - 2meq/ kg. Reference: GHAI Essential pediatrics, 8th edition